Multipara With Lscs, Presents With Cyclical Hematuria, Diagnosis can be:a) VVFb) UVF c) Bladder Endometriosisd) Ca. Cervix
1. a
2. c
3. bc
4. ad

Correct answer: 3. bc

Explanation: The condition of cyclical passage of menstrual blood in urine is called as menouria.                                            
Menouria:

It is seen in uterovesical fistulae
Usually follows cesarean section
The patient complains of hematuria/passage of menstrual discharge via urethra at the time of menstruation. Patient does not have urinary incontinence.
Mensouria is seen when uterovesical fistula opens into the uterus above the isthmus
The presence of the fistula can be demonstrated by hysterography (but not by cystography) and cystoscopy.
Treatment is by abdominal repair.
Another Important cause of cyclical hematuria is endometriosis of bladder.